Which of the following is not monitored in malaria surveillence now -
1. ABER
2. Infant parasite rate
3. Annual parasite incidence
4. Slide positivity rate

Correct answer: 2. Infant parasite rate

Explanation: Infant parasite rate is not used now in Malaria surveillance . It was used in pre eradication era for malaria surveillance. Reference:Park's textbook of preventive and social medicine,K.Park,23rd edition,page no:261.